Foramen that passes through the greater wing of below bone are all except:
1. Foramen rotundum
2. Foramen spinosum
3. Foramen ovale
4. Optic canal

Correct answer: 4. Optic canal